The difference between gram + ye and gram -ye organism is that Gram +ve org. contains -
1. Teichoic acid
2. Muramic acid
3. N-acetyl neuraminic acid
4. Aromatic amino acids

Correct answer: 1. Teichoic acid

Explanation: Ans. is 'a' i.e., Teichoic acid Comparison of cell walls of Gram positive and Gram negative bacteria Gram positive Gram negative Thickness Thicker Thinner Variety of aminoacids Few Several Aromatic and sulphur containing aminoacids Absent Present Lipids Absent or scanty Present Teichoic acid Present Absent